Hepatitis virus without envelope:
1. HAV
2. HBV
3. HCV
4. HDV

Correct answer: 1. HAV

Explanation: Ans. (a) HAV Ref. Harrison 19/e, p 2006, 18/e, p 2539 HAV is a nonenveloped ss RNA virus of picorna family For details see answer no 12 of chapter 27.